Drug of choice for tonic-clonic seizures is ?
1. Sodium valproate
2. Carbemazepine
3. Phenobarbitone
4. Felbamate

Correct answer: 1. Sodium valproate

Explanation: Ans. is 'a' i.e., Sodium valproate